Complication of trauma to danger area of face ?
1. Cavernous sinus infection
2. Meningitis
3. Visual loss
4. Loss of memory

Correct answer: 1. Cavernous sinus infection

Explanation: Ans. is 'a' i,e., Cavernous sinus infection The area of upper lip and the lower part of nose is the danger area of face. It is due to that this area is the common site of infection. This area is drained by facial vein which communicates with the cavernous sinus through the superior ophthalmic vein and pterygoid venous plexus through the emissary vein. In case of any infection of this area it may spread to the cavernous sinus causing infection and/or thrombosis.